Which is false regarding HCG?
1. It is a glycopeptide
2. Synthesized by cytotrophoblast
3. Doubling time is 2 days
4. High levels are seen in multiple pregnancies

Correct answer: 2. Synthesized by cytotrophoblast

Explanation: Ref: Text book of Obstetrics by D. C.Dutta. 7th, ed. Pg. 58Explanation:Human chorionic Gonadotrophin (HCG)HCG is a glycoprotein, it consists of a and b subunits, a subunit of HCG is biochemically similar to LH.FSH and TSH.HCG is synthesized by syncitiotrophoblast.Half life of HCG is 24 hrs and Doubling time is 1.4 to 2 daysHCG is responsible for rescue and maintenance of corpus luteum till 6 wk of pregnancy.Maximum level is reached between 60 to 70 days of pregnancy.High levels of HCG are seen inMultiple pregnancyHydatidifom moleChoriocarcinomaDown's syndrome fetusREMEMBER:Protein hormones produced by placenta are:HCGHuman placental lactogenPAPP-A (pregnancy associated placental protein A)Steroid hormones produced by placenta areEstrogenProgesterone